Carrier who acquires pathogen from another carrier is_____
1. Convalescent carrier
2. Paradoxical carrier
3. Incubatory carrier
4. Healthy carrier

Correct answer: 2. Paradoxical carrier

Explanation: Ans. b (Paradoxical carrier) (Ref. Ananthanarayan 8th/76; Park PSM 20th/92)The term contact carrier is applied to a person who acquires the pathogen from a patient, while the term paradoxical carrier refers to a carrier who acquires the pathogen from another carrier.Carrier is a person who harbours the pathogenic microorganisms without suffering any ill-effect because of it.1 Type of carrierDefinitionE.G.1. Convalescent carrierWho has recovered from the disease and continues to harbour the pathogen in his bodyTyphoid, dysentry,CholeraWhooping cough, Diptheria2. Paradoxical carrierAcquires the pathogen from another carrier-3. Incubatory carrierShed the infectious agent during the incubation period of diseaseMeasles, Diptheria, HepatitisMumps, Polio, Pertusis, Influenza4. Temporary carrierCarrier state lasts for < 6 months-5. Chronic carriersMay last for several yrs and sometimes even for rest of one's lifeTyphoid, GonorrohoeaHepatitis B, Dysentry, Malaria6. Contact carrierPerson who acquires pathogen from patient-7. Healthy carrierHarbours the pathogen but never suffered from the disease caused by the pathogen-8. Pseudo carrierCarriers of avirulent organisms-